A lady comes with 8 weeks amenorrhea, shock & past history of TB diagnosis is :
1. Ruptured ectopic
2. Septic Shock
3. DIC
4. None

Correct answer: 1. Ruptured ectopic

Explanation: Ruptured ectopic